Which of the following is not a branch of cerebral part of ICA:
1. Opthalmic artery.
2. Anterior cerebral artery.
3. Posterior cerebral artery.
4. Anterior choroidal artery.

Correct answer: 3. Posterior cerebral artery.